All of the following clinical findings are seen in Horner's syndrome, except
1. Miosis
2. Anhidrosis
3. Heterochromia of iris
4. Apparent exophthalmos

Correct answer: 4. Apparent exophthalmos

Explanation: The triad of miosis with ipsilateral ptosis and anhidrosis constitutes Horner's syndrome, although anhidrosis is an inconstant feature. Brainstem stroke, carotid dissection, and neoplasm impinging on the sympathetic chain occasionally are identified as the cause of Horner's syndrome, but most cases are idiopathic.(Ref: Harrison's 18/e p 225)